Nucleotides serve all of the following roles, EXCEPT:
1. Monomeric units of nucleic acids
2. Mediators in cellular signalling
3. Source of energy
4. Structural component of membrane

Correct answer: 4. Structural component of membrane

Explanation: Nucleotide Nucleic acids are polynucleotides CAMP and cGMP are cyclic nucleotides involved in signaling pathways. ATP is the cellular currency of energy Membrane is made up of phospholipids and cholesterol and not nucleotides.